Slow vibration sensation is mediated by
1. Merkel's disc
2. Ruffini's endogran
3. Pacinian capsule
4. Meissner corpuscles

Correct answer: 4. Meissner corpuscles

Explanation: Touch and pressure are sensed by 4 types of mechanoreceptors : Meissner's corpuscles (respond to changes in texture. and slow vibrations) Merkel cells (respond to sustained pressure and touch) Ruffini corpuscles (respond to sustained pressure ) Pacinian corpuscles (respond to deep pressure and fast vibrations) Ref: Ganong's Review of Medical Physiology 26th edition pg no: 382